The best method of evacuation of a missed abortion in uterus of more than 12 weeks:
1. Oxytocin infusion
2. Intramuscular prostaglandin (15 methyl PGF2a)
3. Prostaglandin El vaginal misoprostol followed by evacuation of the uterus
4. Suction evacuation

Correct answer: 3. Prostaglandin El vaginal misoprostol followed by evacuation of the uterus

Explanation: In all midtrimester abortion, cervical preparation must be done before performing evacuation, to make the process easy and safe. Intracervical tent, mifeprestone or misoprostol are used as the cervical priming agents. Suction evacuation is not suitable for bigger size of uterus more than 10 weeks as chances of retained products are more.